All of the following are true for traditional solution liner, except:
1. It is not necessary in moderately deep cavities under glass ionomer restoration
2. Have Film thickness of 1 -50 microns
3. Do not provide thermal or electric insulation
4. Protect the pulp from reaction products leaching out of restoration

Correct answer: 2. Have Film thickness of 1 -50 microns